Most common malignancy affecting spleen is ?
1. Angiosarcoma
2. Hamartoma
3. Secondaries
4. Lymphoma

Correct answer: 4. Lymphoma

Explanation: Answer is 'd' i.e. Lymphoma